Active search for disease in an apparently healthy individual is k/a-
1. Monitoring
2. Case finding
3. Screening
4. Sentinel surveillance

Correct answer: 3. Screening

Explanation: Ref:Parks 23rd edition pg 135 Screening test is not intended to be a diagnostic test. It helps us find out the hidden cases.